Three point bony relationship of the elbow is disturbed in -
1. Supracondylar Fracture of the humerus
2. Fracture lateral condyle of the humerus
3. Monteggia Fracture dislocation
4. Fracture of Proximal Radius

Correct answer: 2. Fracture lateral condyle of the humerus

Explanation: Ans. is 'b' i.e., Fracture lateral condyle of the humerus o The three prominent bony points around elbow are medial epicondyle, lateral epicondyle and tip of the olecranon. The relationship of these three bony points is important in the diagnosis of injuries around the elbow. Normally, In 90deg flexed position of elbow, these three bony points form a near Isoceles triangle. In extension all three lies in a straight horizontal line.o In elbow injuries, following is seen in three bony relationship:-A) Maintained# Three point bony relationship is maintained in supracondylar fracture humerus. This is easy to understand, as the fracture is above all these three bony point, relationship in themselves is maintained. So, if fracture is above or below these 3 points, their relationship will be maintained.B) Disturbed# If injury involves a region at or in between these three bony point, their relationship will be disturbed. Such injuries are1) With increased intercondylar distanceo The distance between two epicondyles (intercondylar distance) is increased.o Obviously, the injury is involving the region anywhere from lateral epicondyle to medial epicondyle : -i) Fracture medial epicondyle and/or condyle,ii) Fracture lateral epicondyle and/or condyleiii) Fracture intercondylar region2) With maintained intercondylar distanceo The distance between two epicondyles is maintained as the intercondylar region is not involved:-i) Fracture olecranon (i.e., Upper ulna)ii) Dislocation of elbow